A 2-month-old baby came with rashes over groin & lower abdomen, esp. affecting the countours of buttocks. The erythema, edema and erosion spare the flexures. Mother gives h/o diaper use. Diagnosis?
1. Irritant contact dermatitis
2. Seborrheic dermatitis
3. Candidiasis
4. Atopic dermatitis

Correct answer: 1. Irritant contact dermatitis

Explanation: Ans. a. Irritant contact dermatitisDue to contact to diaper, infants may develop contact irritant dermatitis over contours of buttocks. Seborrheic dermatitis in infants is commonly over scalp known as cradle cap.Candidiasis presents with satellite lesions.Atopic dermatitis involves flexures and face.